A 20-year-old girl Neelu enjoys wearing male clothes. Wearing male clothes gives her a feeling of more confidence and after these episodes she is an absolutely normal girl. The likely diagnosis is:
1. Trans-sexualism
2. Fetishism
3. Dual role transvestism
4. Fetishistic transvestism

Correct answer: 3. Dual role transvestism

Explanation: Here the person only enjoys wearing clothes of opposite sex and there is no discomfort with her own sex and there is no desire to be of other sex. Hence, it is a case of dual role transvestism.(no sexual arousal is seen). Whereas in transsexualism, there is a clear sense of discomfort with ones anatomical organs and wants to get rid of them . In Fetishistic transvestism, there is sexual arousal on cross dressing Fetischism- Arousal occurs either solely or predominantly with a non-living objects.